The pocket epithelium shows a series of histopathological changes. Which of the following is true in this regard?
1. Necrotic changes
2. Proliferative changes
3. Degenerative changes
4. Proliferative and degenerative changes

Correct answer: 4. Proliferative and degenerative changes